All of the following are true about Brown Sequard Syndrome, except:
1. Ipsilateral Pyramidal Tract Features
2. Contralateral Spinothalamic Tract Features
3. Contralateral Posterior Column Features
4. Ipsilateral Planter Extensor

Correct answer: 3. Contralateral Posterior Column Features

Explanation: Answer is C (Contralateral Posterior Column Features): Brown-Sequard Syndrome (Hemisection of spinal cord) is characterized by lesions of the ipsilateral posterior column (and not contralateral posterior column). The_pvramidal tract (corticospinal tract) is involved on the same side (ipsilateral pyramidal tract features), which also explains the ipsilateral planter extensor response. The spinothalamic tract is involved on the contralateral side since fibres of the spinothalamic tract ascends in the spinal cord after having crossed at their respective spinal levels.